In which of the following disease is corticosteroids indicated ?
1. Osteoporosis
2. Peptic ulcer
3. Collagen vascular disease
4. Tuberculosis

Correct answer: 3. Collagen vascular disease

Explanation: uses: asthma, multiple sclerosis, collgen vascular disease, autoimmune diseases,shock, COPD, urticaria, severe allergies, anaphylactic shock etc Glucocorticoid impair immunological competence. They suppress all type of hyoersensitation and allergic phenomenon. At high doses they interfere with immunological response. They are life saving in collagen diseases. Therapy is generally started with high doses which are tappered to maintenence dose when remission occur. (REF.Essential of medical pharmacology K D TRIPATHI 6 Edition, Page No - 284)